Spinal anaesthesia in children is given at which level?
1. Li - L2
2. L2-L3
3. L3- L4
4. L4-L5

Correct answer: 4. L4-L5

Explanation: Ans. is 'd' i.e., L4 L5 Spinal anaesthesia In spinal anaesthesia LA is injected into subarachnoid space (space between pia matter and arachnoid matter). Structure pierced during SA (from outside in) - Skin - Subcutaneous tissue- Supraspinous & intraspinous ligament-Ligamentum falvum - Duramater- Arachnoidmater. Site of spinal anaesthesia L2.3 or L34 intervertebral space in adult (In adult spinal cord ends at lower border of Ll vertebrae). L4.5 intervertebral space in children (spinal cord ends at lower border of L3 vertebrae in children). Spinal anaesthesia leads to creation of a zone of differential blockade, ie motor fibres are blocked two levels lower and autonomic fibres are blocked two levels higher than the sensory blockade due to different sensitivity of different fibres.